All of the following are contents of Posterior Mediastinum except
1. Ascending Aorta
2. Hemiazygous vein
3. Thoracic duct
4. Oesophagus

Correct answer: 1. Ascending Aorta

Explanation: Ascending Aorta is present in middle mediastinum.Contents of posterior mediastinum are1) Oesophagus 2) Arteries: Descending thoracic aorta and its branches.3) Veins: (i) Azygos vein, (ii) Hemiazygos vein, and (iii) Accessory hemiazygos vein.4) Nerves: (i) Vagus, (ii) Splanchnic nerves5) Lymph nodes and lymphatics (i) Posterior mediastinal lymph nodes lying alongside aorta. (ii) The thoracic ductReference: Vishram Singh Anatomy; 2nd edition; Page no: 253